All are causes of Horner's syndrome except
1. Pancoast tumour
2. Lateral Medullary (Wallenberg) syndrome
3. Internal carotid artery dissection
4. Neurosyphilis

Correct answer: 4. Neurosyphilis

Explanation: Pancoast tumor is a tumor in apex of lung which can compress the sympathetic trunk and leads to horner syndrome. Wallenberg syndrome due to arterial hemorrhage or infarct can damage the sympathetic chain running in lateral aspect of medulla and can leads to horner syndrome. Internal carotid artery dissection can damage the sympathetic trunk running posterior to it and can leads to horner syndrome. Neurosyphillis as such doesn't affect the sympathetic fibres directly.